A down syndrome child is mentally retarded. All cytogenetic abnormalities may occurs except ?
1. Deleted 21
2. Trisomy 21
3. Robesonia translocation
4. Mosaic

Correct answer: 1. Deleted 21

Explanation: In approximately 95% cases down syndrome is due to presence of 3 copies of chromosome 21. Approximately 1% cases with trisomy 21 are mosaics . Another 4% have a translocation that involves chromosome 21. Majority of translocation are fusions at the centromere between chromosome 13,14,15,21, and 22 known as robesonial translocation. Reference : Nelson TB of pediatrics edition 19 pg 402.